Dilantin causes?
1. Folic acid deficiency
2. Thiamine deficiency
3. Nicotinamide deficiency
4. Riboflavin deficiency

Correct answer: 1. Folic acid deficiency

Explanation: Folic acid deficiency REF: KDT 7th ed p. 405 Adverse effects of phenytoin (Dilantin): At therapeutic levels At high plasma levels * * Gum hypertrophy Hirsutism * Cerebellar side effects : ataxia, vertigo, diplopia, nystagmus * * Hypersensitivity reactions Megaloblastic anemia due to folate deficiency * Drowsiness , behavorial alterations , hallucinations , disorientation , rigidity * Osteomalacia due to decreased in target sensitivity to * Epigastric pain vit. D * Local vascular damage may be caused by * Interferes with insulin release and hyperglycemia phenytoin * Fetal hydantoin syndrome: hypoplastic phalanges, cleft palate, hair lip, microcephaly. * Fall in BP